The heart sound associated with the mitral valve is best heard?
1. In the jugular notch
2. In the second left intercostal space
3. In the second right intercostal space
4. In the fifth left intercostal space

Correct answer: 4. In the fifth left intercostal space

Explanation: The four valves of the heart can be auscultated at very distinct spaces. The mitral valve can be auscultated in the left 5th intercostal space, slightly below the nipple. The aortic valve can be auscultated in the 2nd right intercostal space, just lateral to sternal angle. The pulmonary valve can be auscultated in the 2nd left intercostal space, just lateral to sternal angle. The tricuspid valve can be auscultated in the 4th left intercostal space, just lateral to sternum. Ref: Barrett K.E., Barman S.M., Boitano S., Brooks H.L. (2012). Chapter 30. The Heart as a Pump. In K.E. Barrett, S.M. Barman, S. Boitano, H.L. Brooks (Eds),Ganong's Review of Medical Physiology, 24e.